The multidrug regimen under the National Leprosy Eradication Programme for the treatment of all multibacillary leprosy would include-
1. Clofazimine, thiacetazone and dapsone
2. Clofazimine, rifampicin and dapsone
3. Ethionamide, rifampicin and dapsone
4. Propionamide, rifampicin and dapsone

Correct answer: 2. Clofazimine, rifampicin and dapsone

Explanation: The multidrug regimen under the National Leprosy Eradication Programme for the treatment of all multibacillary leprosy would include rifampicin 450mg once a month, Dawson 50mg daily, Clofazimine 150mh once a month and 50mg every other day in children's. In adult rifampicin days one and Clofazimine is used. REF. PARK'S TEXTBOOK OF PREVENTIVE AND SOCIAL MEDICAL 21ST EDITION. PAGE NO - 297